Which of the following conditioning agent  should not be used with MTA?
1. EDTA
2. Citric acid
3. Doxycycline
4. None of the above

Correct answer: 1. EDTA

Explanation: As EDTA interferes with hard tissue generation capacity of MTA.